Linitis plastica is a feature of -a) Hiatus herniab) Chronic gastric ulcerc) Lymphoma of stomachd) Diffuse carcinoma stomach
1. ab
2. bc
3. bd
4. cd

Correct answer: 4. cd

Explanation: Linitis plastica

Involvement of a broad region of the gastric wall or entire stomach by diffuse stomach cancer cause linitis plastica.
It is also known as Brinton's disease.
The appearance of stomach is like leather bottle.
The other cause of linitis plastica are :
Lye ingestion    
Sarcoidosis             
Metastatic infiltration of stomach
Non -hodgkin lymphoma of stomach
Syphilis